Which of the following techniques is used to study the current flow across a single ion channel?
1. Voltage clamp technique
2. Patch clamp technique
3. Iontophoresis
4. Galvanometry

Correct answer: 2. Patch clamp technique

Explanation: Patch clamp technique is a laboratory technique in electrophysiology used to study ionic currents in individual isolated living cells,tissue sections or patches of cells Ref:Guyton and Hall textbook of medical physiology 12th edition,page number:66,67,68